Withdrawal of which of the following causes piloerecton?
1. Morphine
2. Cannabis
3. Smoking
4. Alcohol

Correct answer: 1. Morphine

Explanation: Ans. A. MorphineManifestations of morphine withdrawalLacrimationAnxiety & fearSweatingRestlessness rYawningGooseflash (Piloerection).